Which of the following is not an effect of cholinergic muscarinic receptor stimulation:
1. Sweating.
2. Bradycardia.
3. Urination.
4. Rise in BP.

Correct answer: 4. Rise in BP.

Explanation: Stimulation of muscarinic receptors decreases BP.